Mental health programme was started in -
1. 1982
2. 1987
3. 1990
4. 1995

Correct answer: 1. 1982

Explanation: National mental health programme was launched in 1982 with a view to ensure availability of mental health care services for all , especially the community at risk and underprevileged section of the population ,to encourage application of mental health knowledge in general health care and social devalopment. ref; (page no;473) 23rd edition of PARK's textbook of Preventive and Social medicine